Development of labia majora is from -
1. Urogenital sinus
2. Mullerian duct
3. Genital ridge
4. Genital swelling

Correct answer: 4. Genital swelling

Explanation: Ans. is 'd' i.e., Genital swelling Embryogical structureFate in femaleFate in maleGenital ridgeOvaryTestisGenital swellingLabia majoraScrotumGenital foldLabia minoraVentral aspect of penis penile urethraGenital tubercleClitorisGians penis